Colonic bacteria, on digestion of dietary fibres would give
1. Free radicals
2. Glycerol
3. Butyrate
4. Sucrose

Correct answer: 3. Butyrate

Explanation: Colonic bacteria break down dietary fibers into short chain fatty acids - acetate, butyrate and propionate.